Restriction endonuclease is:
1. Break single stranded DNA
2. Break double stranded DNA
3. Break peptide chain
4. Break RNA

Correct answer: 2. Break double stranded DNA

Explanation: Ans. Break double stranded DNA